Which among the following causes 'thumb sign' on an X-ray lateral view of the neck?
1. Acute epiglottitis
2. Acute laryngo trachea bronchitis
3. Acute tonsillitis
4. Acute laryngitis

Correct answer: 1. Acute epiglottitis

Explanation: Thumb sign is typically seen in acute epiglottitis due to swollen epiglottis. It is better appreciated in lateral view of neck. Normally, the epiglottis is quite thin in the anteroposterior (AP) dimension, resembling a little finger, whereas the abnormal, inflamed epiglottis appears shorter and has an increased AP dimension, resembling a thumb. Acute epiglottitis is usually caused by infection with H influenzae type B.